T3 in the TNM staging of the oral malignant lesions represents
1. Carcinoma in situ
2. Tumour 2 cm or less in greatest diameter
3. Tumour > 2 cm but < 4 cm in greater diameter
4. Tumour > 4 cm in greatest diameter

Correct answer: 4. Tumour > 4 cm in greatest diameter